All of the following statement are true regarding primary ciliary dyskinesia, except:
1. X-linked recessive inheritance pattern
2. Occurs due to mutations involving dynein protein
3. It is also associated with Kartagener syndrome
4. Males can be infertile

Correct answer: 1. X-linked recessive inheritance pattern

Explanation: In primary ciliary dyskinesia, Autosomal recessive syndrome Ciliary dysfunction due to defects in ciliary motor proteins (e.g., mutations involving dynein) contributes to the retention of secretions and recurrent infections that in turn lead to bronchiectasis. Associated with Kartagener syndrome (triad of Bronchiectesis, situs inversus , sinusitis) Males with this condition tend to be infertile, as a result of sperm dysmotility.